Eruption of Deciduous Mandibular 1st molar occur at
1. 8-9 months
2. 19-21 months
3. 19-20 months
4. 12-14 months

Correct answer: 4. 12-14 months